What does a score of 9 in EDSS signifies?
1. Death of patient due to multiple sclerosis
2. Patient is bedridden, can talk, can drink
3. Patient is bedridden, can't talk, can't drink
4. Patient walks normally, shows no disability

Correct answer: 2. Patient is bedridden, can talk, can drink

Explanation: Expanded disability severity score (EDSS)is used as measure of neurological impairment in multiple sclerosis. EDSS score: 3.5 Ambulatory Walks normally, shows no disability 9 Bedridden Can talk, Can drink 9.5 Bedridden Can't talk ,Can't drink 10 Death due to MS Revised McDonald's criteria is used in diagnosis of multiple sclerosis.